A diagnostic wax-up is indicated when _____.
1. Re-establishing anterior guidance
2. A provisional fixed prosthesis is to be fabricated
3. Uncertainty exists regarding esthetics
4. All of the above

Correct answer: 4. All of the above

Explanation: It is recommended that any time there is a question regarding the treatment outcome involving a prosthetic device, or the need to produce templates for provisional restorations that reproduce a desired form of teeth, a diagnostic wax-up should be generated.